During delivery, the baby's head was delivered but shoulders not delivered after one minute. What's the next step ?
1. Emergency LSCS
2. Cleidotomy
3. Lateral traction
4. Mc Robert's Maneuver

Correct answer: 4. Mc Robert's Maneuver

Explanation: Diagnosis - shoulder dystocia Shoulder dystocia is when, after delivery of head, the baby's anterior shoulder gets caught above rthe mother. Pubic bone Risk factors 1) Gestational diabetes 2) > 35 age 3) Small or abnormal pelvis 4) wt. of baby > 4500 g Complications Damage to upper brachial plexus Klumpke paralysis Erb's palsy Fetal hypoxia Fetal death Cerebral palsy Management - Mc. Robert's